Tympanic membrane is derived from which layer?
1. Ectoderm
2. Endoderm
3. Mesoderm
4. All of the above

Correct answer: 4. All of the above

Explanation: HUMAN EMBRYOLOGY-INDERBIR SINGH TENTH EDITION-PAGE NO:372 Tympanic membrane This is formed by the apposition of the tubotympanic recess and the first ectodermal cleft ,these two forming the inner(endodermal)and outer(ectodermal) epithelial linings of the membrane.the intervening mesoderm forms the connective tissue basis